A patient with a nodular thyroid swelling is suspected to have hyperthyroidism. On examination there was absence of wrinkling on forehead when looking upwards with face inclined downwards. Which term denote this sign?
1. Von Graefe's sign
2. Joffrey's sign
3. Stellwag's sign
4. Moebius sign

Correct answer: 2. Joffrey's sign

Explanation: Von Graefe's sign - upper eye lid lags behind the eyeball when the patient looks down. Stellwag's sign - Staring look with infrequent blinking of eyes and widening of palpebral fissure. Moebius sign - Inability to converge eyeball Joffroy's sign - Absence of wrinkling of forehead when the patient looks upwards with face inclined downwards. Ref: Das, 5th Edition, Page 291.